Best for studying the decline in percentage of syphilis in men and women in last 10 years
1. Pie chart
2. Histogram
3. Frequency polygon curve
4. Line diagram

Correct answer: 4. Line diagram

Explanation: Ref:Park's Textbook of Preventive and Social Medicine 25th Ed